Iron absorption is decreased by all except
1. Calcium
2. Tetracycline
3. Phytate
4. Ascorbic acid

Correct answer: 4. Ascorbic acid